If a researcher collects data from any member of the sampling frame that happens to be easily accessible, it is referred to as _________________ sampling.
1. Snowball sampling
2. Cluster sampling
3. Convenient sampling
4. Systematic random sampling

Correct answer: 3. Convenient sampling

Explanation: Convenience sampling (also known as availability sampling) is a specific type ofnon-probability samplingmethod that relies on data collection from population members who are conveniently available to participate in study. Facebook polls or questions can be mentioned as a popular example for convenience sampling. Convenience sampling is a type of sampling where the first available primary data source will be used for the research without additional requirements. In other words, this sampling method involves getting participants wherever you can find them and typically wherever is convenient. In convenience sampling no inclusion criteria identified prior to the selection of subjects. All subjects are invited to participate.